The best method of sterilization of dusting powder is?
1. Autoclaving
2. Hot air oven
3. Inspissation
4. Tyndallisation

Correct answer: 2. Hot air oven

Explanation: Hot air oven: it is used to sterilize glassware, forceps, scissors, scalpels, all glass syringes, swabs, some pharmaceutical products such as liquid paraffin, dusting powder, fat and grease REF:Ananthanarayan and Panicker's Textbook ofMicrobiology 8thEdition pg no:31